Long–term antipsychotic use may cause:
1. Depression
2. Mania
3. Schizophrenia
4. Tardive dyskinesia

Correct answer: 4. Tardive dyskinesia